CAGE questionnaire is used in:
1. Alcohol dependence
2. Opiate poisoning
3. Dhatura poisoning
4. Barbiturate poisoning

Correct answer: 1. Alcohol dependence

Explanation: Ans. Alcohol dependence